All true about conus syndrome except
1. Begins at the level of lower 3 sacral and coccygeal segment
2. Absent knee and ankle jerks
3. Flexor plantar reflex
4. Saddle anaesthesia

Correct answer: 2. Absent knee and ankle jerks

Explanation: Since the spinal segments involved in knee and ankle jerks are at higher level than the level of lesion, they are preserved.and not lost. Root value of knee reflex is L-2,3 and 4 and for the ankle reflex is S-1 Conus medullary syndrome is lower motor neuron lesion and involves the lower 3 sacral and coccygeal segments Plantar reflex remains flexor in this syndrome since its spinal arc is also above the level of lesion and is unaffected Root value of plantar reflex is S-1,2. Conus medullary syndrome produces saddle anaesthesia in the perineal region as per the dermatomal pattern. Ref: Gray's 39e/p-227